Most common complication of cardiac catheterization?
1. Arrhythmia
2. Hypertension
3. Vascular bleeding
4. Contrast reaction

Correct answer: 3. Vascular bleeding

Explanation: the most common complication of cardiac catherisation is vascular bleeding or hematoma formation Risks of cardiac catheterization are: Bruising. Bleeding.(vascular bleeding) Heart attack. Stroke. Damage to the artery, heart or the area where the catheter was inserted. Irregular heart rhythms (arrhythmias) Allergic reactions to the dye or medication. Kidney damage. Ref Davidson 23rd edition pg 433